NFHS - 3 is conducted during
1. 1995
2. 2000
3. 2005
4. 2010

Correct answer: 3. 2005

Explanation: National family health survey-3 conducted in India during 2005-2006 provides detailed information of fertility trends Reference: Park's textbook of preventive and social medicine; 23rd edition